Exclusive breast feeding is recommended by WHO upto age of:-
1. 1 month
2. 2 months
3. 4 months
4. 6 months

Correct answer: 4. 6 months

Explanation: WHO recommendations on breast feeding in developing countries: Exclusive breast feeding: Upto age of 6 months. Breast feeding: Upto age of 2 years. Vaccines , Medications , Vitamin supplementation are permitted in exclusive breast feeding.